About iliolumbar ligament, which of the following statements is false?
1. It is attached to transverse process of L5
2. Attatched to the iliac crest
3. Lower part has attached to sacrospinous Ligament
4. Upper part has attachment to Quadratus Lumborum

Correct answer: 3. Lower part has attached to sacrospinous Ligament

Explanation: The iliolumbar ligament is attached to the Thoracolumbar Fascia and quadratus Lumborum muscle (not to the sacrospinous ligament) Ilioluumbar ligament: The iliolumbar ligament is a strong band of connective tissue connecting the lumbar transverse process to the ilium. Lumbar attachment: To the transverse process of L5 (to the tip and anteroinferior aspect of the transverse process (sometimes there is a weak attachment to the transverse process of L4) Ilium attachment: The iliolumbar ligament is a strong band of connective tissue which courses from the transverse process of L5 (in over 96% of cases) to the posterior iliac wing and crest of the ilium) Iliolumbar ligament radiates laterally and is attached to the pelvis by two main bands. Lower band is attached to the posterior margin of the iliac fossa Upper band is attached to the iliac crest Upper band is attached to the Quadratus Lumborum and is continuous with the Thoracolumbar Fascia. In neonates and children, the iliolumbar 'ligamentt' is muscular; the muscle is gradually replaced by liagament up to the fifth decade of life. Function: Iliolumbar ligament stabilizes the lumbosacral ligament. Ref: Gray's anatomy 41st edition PGno: 436